Low iron & low TIBC is seen in:
1. Anaemia of chronic disease
2. Sideroblasticanaemia
3. Iron deficiency anaemia
4. Aplastic anemia

Correct answer: 1. Anaemia of chronic disease

Explanation: Ans. (a) Anaemia of chronic diseaseRef Robbin's pathology 9th ed. /652ParameterIron deficiency anemiaSideroblasticanemiaAnemia of chronic diseaseSerum ironLowHighLowSerum ferritinLowHighHighT.I.B.CIncreasedDecreasedLow